Confocal scanning laser ophthalmoscope uses -
1. Infrared laser
2. Diode laser
3. Excimerlaser
4. YAG laser

Correct answer: 2. Diode laser

Explanation: It is a non- invasive investigation used to receive three- dimensional images of retinal surface in vivo. Commercial name of the device is Heidelberg retina tomograph. Diode laser beam of 670 nm wavelength is used as the light source. Ref: khurana optics and refraction edition 4th , page no. 452